The latent period in distraction osteogenesis is
1. 4-6 weeks
2. 5-7 days
3. 6-8 months
4. 4 months

Correct answer: 2. 5-7 days